Wavelength of Nd:Yag laser
1. 1040 nm
2. 1040 mm
3. 1040 cm
4. 1040 pm

Correct answer: 1. 1040 nm

Explanation: A i.e. 1040 nm